X-rays are produced when -
1. Electron beam strikes the nucleus of the atom
2. Electron beam strikes the anode
3. Electron beam reacts with the electromagnetic field
4. Electron beam strikes the cathode

Correct answer: 2. Electron beam strikes the anode

Explanation: When electrons from cathode strikes the anode , X rays are produced but also there is large amount of heat production and hence tungsten having high melting point(3360c) used as a target material.